Red discolouration of urine is seen with
1. Methotrexate
2. Cytarabine
3. Doxorubicin
4. Cisplatin

Correct answer: 3. Doxorubicin

Explanation: Doxorubicin & Daunorubicin can cause red discolouration of urine.